Which is not a test for diabetes mellitus -
1. Fasting blood sampling
2. Random blood sampling
3. D-xylose
4. Oral glucose tolerance test

Correct answer: 3. D-xylose

Explanation: D-xylose absorption is a laboratory test to determine how well the intestines absorb a simple sugar (D-xylose). The test helps determine if nutrients are being properly absorbed. It is done in : persistent diarrhea, signs of malnutrition, unexplained weight loss. Rest of the options are the tests done in diabetes mellitus. Ref - Harrisons internal medicine 20e topic diabetes